All are true about gallstone ileus except
1. May be diagnosed with abdominal X-Ray
2. Most common fistula is to duodenum
3. Tumbling obstruction
4. Cholecystectomy should be done In same episode

Correct answer: 4. Cholecystectomy should be done In same episode

Explanation: Most patients in Gallstone ileus are unstable to withstand a Prolonged operative procedure, so cholecystectomy should not be done in same episode Fistula can be addressed at a second laparotomy Ref: Sabiston 20th edition Pgno :1506-1507